Which of the following types of nerve fibers carry pain?
1. A a
2. A b
3. A g
4. A d

Correct answer: 4. A d

Explanation: Delta fibres carry pain, cold, touch sensations. Ref: Ganong's review of medical physiology; 23rd edition; pg: 89; table 4-1